'Primordial Prevention' means
1. Preventive action taken prior to onset of disease
2. Prevention of emergence of risk factors of the disease
3. Prevention of disease from causing complication
4. Early detection of disease by screening

Correct answer: 2. Prevention of emergence of risk factors of the disease

Explanation: Ans. (b) Prevention of emergence of risk factors of the diseaseRef : K. Park 23rd ed. / 41, 370* Primordial prevention refers to prevention of development of risk factors in countries or population groups where they are yet to appear.* For instance, adult health problems like obesity, hypertension etc. take root in childhood, when lifestyles like smoking, eating patterns, physical exercise are formed* As part of primordial prevention, efforts are made to discourage high risk children, adolescents and young adults from adopting harmful lifestyles. The primary intervention is through individual and mass education.